According to the WHO Medical Eligibility Criteria for Contraceptive Use , Category 4 for contraception use is?
1. No restriction to use
2. Absolute contraindications
3. Relative contraindications
4. Contraception in special conditions like HIV

Correct answer: 2. Absolute contraindications

Explanation: WHO: MEC: Medical Eligibility Criteria for Contraceptive Use Categories 1 and 4 are self-explanatory Category 1 denotes indications and category 4 indicates absolute contraindications; Categories 2 and 3 indicate relative contraindications)